Drugs/treatment used in scabies are
1. Crotamiton
2. Permethrin
3. Lindane
4. All

Correct answer: 4. All

Explanation: D i.e. All